In a young male, history of firm unshakable belief of hands passing through the body & gripping his lungs indicates
1. Schizophrenia
2. Depression
3. Somatization
4. Asthma

Correct answer: 1. Schizophrenia

Explanation: This patient has :-


False but firm belief → Delusion.
Hand passing through the body & gripping his lungs → delusion is bizarre (belief that is impossible):


Bizarre delusions are seen in schizophrenia.